For a woman with history of prior two molar pregnancies, the risk of having a third molar pregnancy is
1. 1%
2. 5%
3. 10%
4. 20%

Correct answer: 4. 20%

Explanation: For those with a prior complete mole, the risk of another mole is 0.9 percent. With a previous partial mole, the rate is 0.3 percentAfter two prior molar pregnancies, approximately 20 percent of women had a third moleReference: William's Obstetrics; 25th edition, chapter 20; Gestational trophoblastic diseases